Arterial supply to middle l/3rd of vagina is by ?
1. Internal pudendal artery
2. Uterine artery
3. Inferior vesical artery
4. Middle rectal artery

Correct answer: 3. Inferior vesical artery

Explanation: Ans. is 'c' i.e., Inferior vesical arteryArterial supply of vaginaVaginal branch of internal iliac (main supply)Cervicovaginal branch of uterine artery (in upper part).Middle rectal and internal pudendal arteries (in lower part).Inferiorvesical artery (in middle 3rd).